Pellagra like symptoms seen in which amino acid deficiency
1. Tryptophan
2. Tyrosine
3. Glutamine
4. Phenylalanine

Correct answer: 1. Tryptophan

Explanation: Pellagra is seen due to deficiency of niacin (Vitamin B3) aka nicotinic acid.*Nicotinic acid can be formed in the body from tryptophan So, deficiency of tryptophan causes a deficiency of niacin leading to pellagra like symptoms. Also in Hartnup disease, there is an inability to absorb neutral amino acid from the intestine and renal cell Tryptophan is severely affected and hence, Pellagra like symptoms and amino aciduria happens